Hemoglobin does not bind with -
1. Oxygen
2. Carbon dioxide
3. Carbon monoxide
4. HCN

Correct answer: 4. HCN